Vanillyl mandelicacid (VMA) increased in
1. Parathyroidism
2. Pheochromocytoma
3. MEN-1
4. Addison's disease

Correct answer: 2. Pheochromocytoma

Explanation: (Pheochromocytoma) (798- Basic Robbins 8th)PHEOCHROMOCYTOMA - "Rules of 10s"*** Demonstrating characteristic nests of cells ("Zellballen") with abundant cytoplasm* The definite diagnosis of malignancy in pheochromocytoma is based exclusively on the presence of metastasis*** Diagnosis demonstration of increased excretion of free Catecholamines and their metabolites such as vanillylmandelic acid and metanephrines**